Which of the following is considered an adequate water supply/head/day -
1. 50-1501
2. 150-200L
3. 200-250L
4. 100-150L

Correct answer: 2. 150-200L

Explanation: Ans. is 'b' i.e., 150-200 litres